What is the Ph of calcium hydroxide?
1. 7
2. 10
3. 12
4. 14

Correct answer: 3. 12